Which of the following drugs is not used in opioid dependence-
1. Disulfiram
2. Clonidine
3. Lorazepam
4. Naltrexone

Correct answer: 1. Disulfiram

Explanation: Ans. is 'a' i.e., Disulfiram Treatment of opioid dependence1) Detoxification (treatment of withdrawal syndrome)i) Methadone is the DOCii) Alternatives:- Buprenorphine, LAAM, clonidine, clonidine with naltrexone with or without benzodiazepines (Lorazepam. oxazepam), Lofexidine, Dextropropoxyphene, diphenoxylate.2) Maintenance (to prevent relapse)i) Methadone is the DOCii) Alternatives:- Buprenorphine, LAAM, opioid antagonists (Naltreoxone).